Secondary amyloidosis complicates which of the following:
1. Pneumonia
2. Chronic glomerulonephritis
3. Irritable bowel syndrome
4. Chronic osteomyelitis

Correct answer: 4. Chronic osteomyelitis

Explanation: Chronic osteomyelitis